Second generation cephalosporin that can be used orally is:
1. Cefepime
2. Cefalothin
3. Cefaclor
4. Cefadroxil

Correct answer: 3. Cefaclor

Explanation: Cefaclor: It retains significant activity by the oral route and is more active than the first generation compounds against H. influenzae, E. coli and Pr. mirabilis. Dose: 0.25-1.0 g 8 hourly KEFLOR, VERCEF, DISTACLOR 250 mg cap, 125 and 250 mg distab, 125 mg/5 ml dry syr, 50 mg/ml ped. drops. ESSENTIALS OF MEDICAL PHARMACOLOGY page no.727